Uncomplicated shoulder dislocation most commonly occur in the following direction ?
1. Anterior
2. Superiors
3. Posterior
4. Medially

Correct answer: 1. Anterior

Explanation: Anterior dislocation of shoulder is the most common type of shoulder dislocation Subcoracoid type of dislocation is the most important type of anterior dislocation Refer Maheshwari 9thed p 89